All are true about ramelteon except :
1. Agonist at MT1 and MT2 receptors
2. Is a substrate of CYP1A2
3. Has high addiction liability
4. Approved for treatment of insomnia

Correct answer: 3. Has high addiction liability

Explanation: Ramelteon is a non-addictive drug.